The total number of point angles present for Class II amalgam restorations is
1. 4
2. 6
3. 8
4. 11

Correct answer: 2. 6